Best stimuli for secretin is-
1. Protein
2. Acid
3. Fat
4. Bile

Correct answer: 2. Acid

Explanation: B i.e. Acid